Extrapyramidal side effects are common in
1. Anti depressants
2. Anti epileptics
3. Anti maniacs
4. Anti psychotics

Correct answer: 4. Anti psychotics

Explanation: Antipsychotic medications commonly produce extrapyramidal symptoms as side effects. The extrapyramidal symptomsinclude acute dyskinesias and dystonic reactions, tardive dyskinesia, Parkinsonism, akinesia, akathisia, and neuroleptic malignant syndrome. Ref: KD tripathi 8th ed.